Which hormone levels are increased in prader Willi syndrome
1. TSH
2. GH relin
3. Growth hormone
4. Peptide YY

Correct answer: 2. GH relin

Explanation: GH relin levels are increased in Prader willi syndrome.